If cellular proteins do not fold into a specific conformation, their function are affected. Certain disorders arise, if specific proteins are misfolded. Which of the following disorders arises due to conformational isomerization:
1. Familial fatal insomnia
2. Hepatitis delta
3. Pernicious anemia
4. Lesch-Nyhan syndrome

Correct answer: 1. Familial fatal insomnia

Explanation: A i.e Familial fatal insomnia